Honeycombing is seen in liver in case of -
1. Cirrhosis
2. Rupture
3. Putrefaction
4. Hydatid disease

Correct answer: 3. Putrefaction